All of the following drugs cause hemolysis in patient with G-6-PD deficiency except
1. Primaquine
2. Chloroquine
3. Quinine
4. Atropine

Correct answer: 4. Atropine

Explanation: G-6-PD deficiency is responsible for hemolysis with primaquine, sulfonamides, dapsone, quinine, nalidixic acid, nitrofurantoin, menadione, pyrimethamine etc Ref:KD Tripathi pharmacology 7th edition (page.no: 58)